Strychnine acts by inhibiting:
1. GABA
2. Glycine
3. Acetylcholine
4. Dopamine

Correct answer: 2. Glycine

Explanation: Ans. Glycine